28 yr old man presented with headache. CT head shows a low attenuation mass in left temporoparietal region which has similar density to CSF and shows no enhancement following contrast administration. Diffusion weighted MRI shows high signal. Which of the following is most probable diagnosis?
1. Migraine
2. Arachnoid cyst
3. Epidermoid cyst
4. Multiple sclerosis

Correct answer: 3. Epidermoid cyst

Explanation: When there is Diffusion Restriction, DW-MRI gives a bright signal and has low apparent Diffusion Coefficient(ADC value). Lesions showing Diffusion Restriction Infarct(Acute Infarct)- IOC Abscess Medulloblastoma & Other Cellularity Tumours Epidermoid Cyst There is free diffusion of water within arachnoid cysts therefore DW-MRI is useful to differentiate b/w arachnoid and epidermoid cyst. Clinical history not supportive of Migraine. Option D: Multiple sclerosis shows Dawson's fingers.